The clearance of drug means
1. Volume of plasma which is cleared of drug in unit of time
2. Amount of drug excreted in urine
3. Amount of drug metabolized in unit of time
4. All of the above

Correct answer: 1. Volume of plasma which is cleared of drug in unit of time

Explanation: Clearance of a substance is the volume of plasma cleared of the substance in unit time ie in one minute. (REF: TEXTBOOK OF MEDICAL PHYSIOLOGY GEETHA N 2 EDITION, PAGE NO - 353)